Which of the following lesion is least likely to be eccentric?
1. GCT
2. Simple bone cyst
3. Osteochondroma
4. Aneurysmal bone cyst

Correct answer: 2. Simple bone cyst

Explanation: Simple Bone cyst is seen in metaphysis or in diaphysis and it can be least likely to be at an eccentric location. Aneurysmal bone cyst is the lesion most likely to occur in ecentric location. All other lesions might start from centre but ultimately during presentation,they present as eccentric lesion.